Color of Granules of Actinomyces is:
1. Black
2. Yellow
3. Blue
4. White

Correct answer: 2. Yellow

Explanation: Yellow